Patients with bilateral CDH walk with the following gait?
1. Waddling
2. Stumbling
3. Knock knee
4. Antalgic

Correct answer: 1. Waddling

Explanation: Ans. is 'a' i.e., Waddling Waddling gait It is also called as duck walk gait. It is a wide base gait with increased lumbar lordosis, the patient sways to the same side after putting weight on the limb. It is seen commonly in pregnancy, bilateral CDH, osteomalacia and myopathies.